A boy presents with eye deviated laterally and slightly downward. The upward gaze is impaired and medial rotation is not possible. Which nerve is involved.
1. III
2. IV
3. V
4. All

Correct answer: 1. III

Explanation: A. i.e. III